Most common site of ectopic pregnancy in fallopian tube:
1. Infundibulum
2. Ampulla
3. Isthmus
4. Interstitium

Correct answer: 2. Ampulla

Explanation: Ans. B: Ampulla The vast majority of ectopic pregnancies implant in the Fallopian tube. Pregnancies can grow in the infundibulum (18% of all ectopics), the ampullary section (55%), the isthmus (25%), and the interstitial part of the tube (20%). Mortality of a tubal pregnancy at the isthmus or within the uterus (interstitial pregnancy) is higher as there is increased vascularity that may result more likely in sudden major internal hemorrhage.